All of the following are having lipid envelope except?
1. HIV
2. Rabies virus
3. Varicella
4. Enterovirus

Correct answer: 4. Enterovirus

Explanation: Ans. is 'd' i.e., Enterovirus